RPGN is caused by
1. Wegeners granulomatosis
2. Good pasteur syndrome
3. Microscopic polyangitis
4. All of the above

Correct answer: 4. All of the above

Explanation: Refer Robbins pageRapidly progressive glomerulonephritis (RPGN) is a syndrome associated with severe glomerular injury, but does not denote a specific etiologic form of glomerulone- phritis. It is characterized by rapid and progressive loss of renal function associated with severe oliguria and signs of nephritic syndrome; if untreated, death from renal failure occurs within weeks to months. The most common histologic picture is the presence of crescents in most of the glomeruli (crescentic glomerulonephritis) no 9/e Pg 912